Sideroblastic anemia is caused by all except ?
1. Collegen vascular disease
2. Iron deficit
3. Lead poisoning
4. Cutaneous porphyria

Correct answer: 2. Iron deficit

Explanation: Ans. is 'b' i.e., Iron deficit Causes of sideroblastic anemia Hereditary o X-linked recessive sideroblastic anemia. Acquired Hematological Drugs & chemicals Others Myelofibrosis INH RA Myelodysplasia Penicillamine Myxedema Acute leukemia Lead SLE Lymphoma Alcohol Iron overload Myeloma Pyridoxin dificiency Porphyria Polycythemia vera Chloromphenicol Hemolytic anemia